Which of the following structure is related to lateral wall of vagina?
1. Inferior vertical artery
2. Ureter
3. Middle rectal artery
4. None of the above

Correct answer: 2. Ureter

Explanation: Pelvic fascia, ureter and levator ani muscles inserted into the lower third of the vagina are seen lateral to the vaginal wall.Anterior wall of the vagina is related to the urethra and base of the bladder.Lower one third of the posterior vaginal wall is related to the perineum, middle one third is related to the rectum and upper one third is related to the pouch of Douglas.Cervix and the uterus lies above the vagina.Vagina is a muscular tube extending from the vulva to the cervix.The cervix of the uterus enters the vagina making a right angle with the anterior vaginal wall which is 7.5cm in length. The posterior vaginal wall is 10cm long. Ref: Textbook of Midwifery and Reproductive Health Nursing By B. T. Basavanthappa page 182.